Which of the following is not a feature of extramedullary tumour?
1. Early Corticospinal signs and paralysis
2. Root pain or midline Back -pain
3. Abnormal CSF
4. Sacral sparing

Correct answer: 4. Sacral sparing

Explanation: Sacral sparing is a feature of intramedullary tumors, not extra medullary tumors. So sacral sparing is the single best answer of choice. Ref: Harrison's Principles of Internal Medicine, 16th Edition, Page 2440